Temporary and permanent hardness of water is removed by -
1. Boiling
2. Addition of lime
3. Permutit method
4. All

Correct answer: 3. Permutit method

Explanation: REMOVAL OF HARDNESS: Temporary hardness: Boiling Addition of lime Addition of sodium carbonate Permutit process (Na2 Al2 SiO2 H2O) Permanent hardness: Addition of sodium carbonate Base exchange process (permutit process) Park's Textbook of Preventive and Social Medicine, 25th edition, Page No. 787